Acinic cell carcinomas of the salivary gland arise most often in the:
1. Parotid gland
2. Minor salivary glands
3. Submandibular gland
4. Sublingual gland

Correct answer: 1. Parotid gland

Explanation: Acinic cell carcinoma Exclusively arises from Parotid gland Resembles normal serous acinal cells of salivary gland Encapsulated Tends to involve regional lymph nodes Treatment: Radical resection